Marble bone disease is
1. Osteogenesis imperfect
2. Osteopetrosis
3. Osteomyelitis
4. Osteoporosis

Correct answer: 2. Osteopetrosis

Explanation: (Osteopetrosis): (307- Malushwari 4th edition)OSTEOPETROSIS (Marble bones, Alber's - Schonberg disease)* Characterised by dense but brittle bones* Autosomal dominant disorderCP-* Pathological fractures* Cranial nerve compression]---Due to bone encroachment on foramena* Jaw osteomyelitis (After tooth extraction)* Anemia* X-ray shows - Increased density of the all the all the bones* Cortices are widened leaving narrow medullary canal Sclerotic vertebral end plates producing a striped appearance (rugger Jersey spine)* Skull is thickened and the base densely sclerotic